Which of the following is false about Botulism?
1. It is a type food poisoning
2. Botulinum toxin is a potent neurotoxin
3. It is an infection and not intoxication
4. The causative organism is Clostridium botulinum

Correct answer: 3. It is an infection and not intoxication

Explanation: Ans. is 'c' i.e.. It is an infection and not intoxication Botulismo It is a form of food poisoning.o Botulinum toxin is a potent neurotoxic protein. It paralyses the nerve endings by blocking the nerve impulses at the myoneural junction. It blocks the action of acetylcholine,o Botulism is an intoxication, not an infection. Clostridium botulinum organism does not grow in the body.o The causative organism is Cl. botulinum. It multiplies in food (sausages, tinned meat) before it is consumed, and produces a powerful exotoxin under suitable anaerobic conditions.